Microfilled composites cannot have a high filler load due to:
1. Small size of filler particles which decreases  the overall matrix
2. More surface area per unit volume
3. Low modulus of elasticity
4. Wear of opposing tooth structure caused by microfillers

Correct answer: 2. More surface area per unit volume

Explanation: Filler content of microfilled composite  is 50-60% by weight. Because of the greater surface area per unit volume of these microfine particles they cannot be heavily filled.
Reference- Sturdevant 6th ed P:218